The most common cause of suppurative cholangitis is:-
1. Stone in common bile duct
2. Cancer of the ampulla of vater
3. Choledochal cyst
4. Empyema of gallbladder

Correct answer: 1. Stone in common bile duct

Explanation: CHOLANGITIS Ascending bacterial infection of the biliary ductal system with obstruction MC cause of acute cholangitis is choledocholithiasis MC causative organism- E. coli, Klebsiella pneumonia, Streptococcus faecalis, & Bacteroid fragills. Treatment Initial treatment: IV antibiotics & aggressive hydration.